A company executive, who travels worldwide, present with upper abdominal mass and +ve Casoni's test. The organism is:
1. Echinococcus
2. E. histolytica
3. Hepatitis
4. Ascariasis

Correct answer: 1. Echinococcus

Explanation: Ans. is 'a' i.e., EchinococcusCasoni's test: This is an immediate hypersensitivity (Type I) skin test used for diagnosis of hydatid disease.